Supports of the uterus are all except:
1. Utero sacral ligament
2. Broad ligament
3. Mackenrodt's ligament
4. Levator ani

Correct answer: 2. Broad ligament

Explanation: Broad ligament and round ligament play does not play a major role in supporting the uterus.They help to hold the uterus in anteverted position.The endopelvic connective tissue like Mackenrodt's ligament,Uterosacral ligament and muscles and connective tissues like pelvic diaphragm(levator ani muscle) and perineal body supports the uterus. Ref: Chapter 14. Female Reproductive System. In Morton D.A., Foreman K, Albertine K.H. (Eds), The Big Picture: Gross Anatomy.